Major indication (s) for arthroplasty -a) Osteoarthritis of hipb) Ankylosis of elbowc) Ununited tibial fractured) Ununited femoral neck fracturee) TB spine
1. abd
2. bcd
3. abc
4. ab

Correct answer: 1. abd

Explanation: Arthroplasty, also known as joint replacement, is the operative procedure for construction of a new movable joint.
It is a surgical procedure to restore the integrity and function of the joint.
Common arthroplasties are of following types :

1) Hip arthroplasty

Following type of hip arthroplasties are there :


Total hip replacement : Both parts of joint, i.e. femoral head and acetabulum, are replaced by prosthesis.
Hemi-arthroplasty (hemi-replacement) : Only one part of the joint, i.e. femoral head, is replaced without putting acetabular component. Examples are Bipolar hemiarthroplasty and unipolar herniartroplasty (AMR).
Surface replacement (resurfacing procedure) : Only diseased surface of femoral head is resected and is replaced by metal surface.

'Important indications for TKR

Arthritis : Rheumatoid arthritis, ankylosing spondylitis, osteoarthritis (primary or secondary)
Avascular necrosis of femoral head due to alcoholism, non-union femoral neck fracture and cortisone
Bone tumor involving proximal femur or acetabulum.
Failed hemiarthroplasty
Old healed infection (TB or pyogenic)

2) Knee arthroplasty

Knee arthroplasties may be of following types :


Total knee replacement : Complete joint, i.e. both condyles of femur, both tipial plateau and patella are resected and replaced by prosthesis.
Unicondylar replacement : Only one condyle (medial or lateral) of femur is replaced.
Patellar resurfacing : Diseased part of patella is resected and resurfaced.

Important indications of TKR

Arthritis : RA, OA, Postraumatic arthritis, inflammatory arthritis (gout
Hemophilia
Tumors


3)    Elbow arthroplasty

The elbow joint (heumero-ulnar joint) is replaced by an artificial hinged elbow prosthesis.

Important indications for elbow replacement

Pain & instability
Ankylosis in non-functional position (e.g. in RA)